Hanging curtain sign is seen in
1. Ptyriasis alba
2. Pitriasis versicolor
3. Pityriasis rosea
4. Pitriasis miliaris

Correct answer: 3. Pityriasis rosea

Explanation: A skin rash that sometimes begins as a large spot on the chest, abdomen or back, followed by a pattern of smaller lesions.